Patient intoxicated himself with two bottles of nasal decongestant whose primary ingredient was alpha agonist drug. Which is earliest sign seen?
1. Tachycardia
2. Dilatation of pupil
3. Vasodilation
4. All of the above

Correct answer: 2. Dilatation of pupil

Explanation: Ans. B. Dilatation of pupilStimulation of alpha receptors causes dilation of pupil. Whereas tachycardia and vasodilation are due to beta receptor stimulation.